A 14 year old boy complains with gingival bleeding, oral ulcers, anemia with hepatomegaly but no lymphadenopathy, total leukocyte count of one lakh cells per mm3 is suffering from:
1. Acute myeloid leukemia
2. Chronic monocytic leukemia
3. Chronic lymphoblastic leukemia
4. Chronic myeloid leukemia

Correct answer: 1. Acute myeloid leukemia

Explanation: Oral and periodontal manifestations of leukemia may include leukemic infiltration, bleeding, oral ulcerations, and infections. The expression of these signs is more common with acute and subacute forms of leukemia than with chronic forms.
Leukemic cells can infiltrate the gingiva and, less frequently, the alveolar bone. Gingival infiltration often results in leukemic gingival enlargement leukemia. Highest incidence is seen in patients with acute monocytic leukemia (66.7%), followed by those with acute myelocytic–monocytic leukemia (18.7%) and acute myelocytic leukemia (3.7%). It should be noted, however, that monocytic leukemia is an extremely rare form of the disease. Leukemic gingival enlargement is not found in edentulous patients or in patients with chronic leukemia, suggesting that it represents the accumulation of immature leukemic blast cells in the gingiva adjacent to tooth surfaces with bacterial plaque.
The French-American-British (FAB) classification is an older system for describing AML, but it is still commonly used and is listed below for reference. 
MO: Myeloblastic without differentiation 
M1: Myeloblastic with little or no maturation 
M2: Myeloblastic with maturation 
M3: Promyelocytic 
M4: Myelomonocytic 
M4eo: Myelomonocytic with eosinophils 
M5a: Monocytic without differentiation (monoblastic) 
M5b: Monocytic with differentiation 
M6: Erythroleukemic 
M7: Megakaryocytic
Reference:  Carranza Periodontology 13th ed page no 214